Which of the following phospholipid has antigenic acitivity -
1. Plasma!ogen
2. Cardiolipin
3. Phosphatidylcholine
4. Sphingomyelin

Correct answer: 2. Cardiolipin

Explanation: Ans. is 'b' i.e., Cardiolipin "Cardiolipin is the only human glycerophospholipid that possess antigenic properties "o Cardiolipin is the major lipid of inner mitochondrial membrane.